A patient with long standing, progressive congestive heart failure dies in respiratory distress. The lungs at autopsy are 3 times their normal weight. Histologically, the alveoli show a proteinaceous granular precipitate, enlarged alveolar capillaries, and hemosiderin-laden macrophages. Other inflammatory cells are inapparent. Which of the following is the most likely diagnosis?
1. Candida pneumonia
2. Pneumococcal pneumonia
3. Pneumocystis pneumonia
4. Pulmonary edema

Correct answer: 4. Pulmonary edema

Explanation: These are the characteristic findings of pulmonary edema. The edema fluid is apparent as a proteinaceous granular precipitate after histologic processing of the tissue. Hemosiderin-laden macrophages in the tissue, called "heart failure cells," are the end result of ingestion of red blood cells by alveolar macrophages. Pulmonary edema develops in heart failure when the pulmonary venous pressure rises and the capacity for the tissue to reabsorb the fluid into the venous system is exceeded. In Candida pneumonia, fungal hyphae and spores would be described. In pneumococcal pneumonia, gram-positive cocci (Streptococcus pneumoniae) would be described. In Pneumocystis pneumonia, hat-shaped, silver-stained cysts would be described. Ref: Levitzky M.G. (2013). Chapter 4. Blood Flow to the Lung. In M.G. Levitzky (Ed), Pulmonary Physiology, 8e.